Colipase acts with:
1. Lipoprotein lipase
2. Pancreatic lipase
3. Gastric lipase
4. Salivary lipase

Correct answer: 2. Pancreatic lipase

Explanation: Pancreatic juice contains lipase, colipase, phospholipase A & B Colipase: Facilitates the action of lipase Prevents inactivation of lipase by bile salts